'Whip-lash' injury is caused due to -
1. A fall from a height
2. Acute hyperextension of the spine
3. A blow on top to head
4. Acute hyperflexion of the spine

Correct answer: 2. Acute hyperextension of the spine

Explanation: Whiplash injury : acceleration injury , cervical sprain syndrome , soft tissue neck injury * it is an unconventional & inconsequential ligamentous injury of the cervical spine allegedly due to an extension injury following a rear end collision in an RTA * clinical features : symptoms - upper neck pain become worse with movement - occipital headache - neck stiffness - rarely vertigo ,auditory or visual disturbance : sign - decreased range of movements - neck muscles spasm * investigation - x- ray usually normal .MRI helps to make diagnosis * treatment - conservative REF : MAHESWARI 9TH ED